Boundary of triangle of auscultation is not formed by:
1. Senatus anterior
2. Scapula
3. Trapezius
4. Latissimus dorsi

Correct answer: 1. Senatus anterior

Explanation: Serratus anterior Repeat from May 11